Alagile syndrome is-
1. Bile duct paucity
2. IHBR dilation
3. PBC
4. PSC

Correct answer: 1. Bile duct paucity

Explanation: Ans. is 'a' i.e., Bile duct paucity